Post-infective glomerulonephritis present as:
1. ARF
2. Nephrotic syndrome
3. Nephritic syndrome
4. Asymptomatic hematuria

Correct answer: 3. Nephritic syndrome

Explanation: Answer is C (Nephritic syndrome): Post infective glornerulonephritis are acute glomerulonephritis that usually present with Acute Iepitrotic syndrome. It is the classic presentation of Post-Streptococcal or Post-Infective glonierulonephritis.